Which is not pre-malignant at some site -
1. Bronchiectasis
2. Cholilithiasis
3. Ulcerative colitis
4. Leukoplakia

Correct answer: 1. Bronchiectasis

Explanation: Bronchiectasis is not a premalignant condition.

Cholelithiasis predisposes to carcinoma Gallbladder
Ulcerative colitis predisposes to :          

(a) colorectal cancer-Sabiston 16th/ep. 953
(b) cholangiocarcinoma.

Leukoplakia: Predisposes to squamous cell carcinoma at the respective site.